While calculating the incubation period for measles in a group of 25 children, deviation is 2 and the mean incubation period is 8 days. Calculate the standard error -
1. 0.4
2. 1
3. 0.5
4. 2

Correct answer: 1. 0.4

Explanation: STANDARD ERROR OF MEAN (SEMEAN)

SEmean is the measure of difference between sample and population values: Whatever be the sampling procedure or the care taken while selecting sample, the sample estimates (statistics) will differ from population values (parameters)
SE is a ‘measure of chance variation’, and IT DOESNOT mean an error or mistake.